Child with mild squint. Intrauterine, birth history, developmental history till date all normal. Corneal reflex normal. All other eye parameters normal except exaggerated epicanthal fold. Diagnosis ?
1. Pseudostrabismus
2. Accomodative squint
3. Exophoria
4. Esophoria

Correct answer: 1. Pseudostrabismus

Explanation: Ans. is 'a' i.e., Pseudostrabismus Epicantnic fold causes Pseudoesotropia (Pseudostrabismus).